Destruction of which nucleus results in starvation?
1. Lateral nucleus
2. Arcuate nucleus
3. Posterior nucleus
4. Suprachiasmatic nucleus

Correct answer: 1. Lateral nucleus

Explanation: Lateral nucleus

Stimulation induces eating. 
Destruction results in starvation.